All are RNA virus except:
1. Ebola virus
2. Vesicular stomatitis virus
3. Simian 40
4. Rabies

Correct answer: 3. Simian 40

Explanation: Ans. (c) Simian 40 SV 40 = Simian vacuolating virus 40 = Simian virus 40 It is a DNA viruses Its family is papovaviridae and genera is polyoma virus. It is oncogenic virus, causing cytopathic effects with prominent cytoplasmic vacoulation Remember: Simian virises 5, 41 are animal virus antigenically similar to paranfluenza virus type 2